In staphylococci, plasmid encoding beta lactamase production is transmitted by -
1. Conjugation
2. Transduction
3. Transposan
4. Transformation

Correct answer: 2. Transduction

Explanation: Ans. is 'b' i.e., Transduction o Beta lactamases are encoded by plasmids that can be transferred with the help of bacteriophage, a process called transduction. Also know o Most common mechanism of acquisition of antibiotic resistance in staphylococcus --* Transduction o Most common mechanism of acquistion of antibiotic resistance in pneumococci and Neisseria -3 Transformation o Vancomycin resistance in enterococci and staphylococcus is mediated by conjugation.